In TGA, position of aorta is –
1. Posterior and left to pulmonary artery
2. Posterior and right to pulmonary artery
3. Anterior and left to pulmonary artery
4. Anterior and right to pulmonary artery

Correct answer: 4. Anterior and right to pulmonary artery

Explanation: In TGA aorta lies anterior and to the right of pulmonary artery.